Diplopia is characteristic feature of-
1. Concomitant squint
2. Non-paralytic squint
3. Paralytic squint
4. Latent squint

Correct answer: 3. Paralytic squint

Explanation: Signs of paralytic squint: 1. Primary deviation. 2. Secondary deviation. 3. Restriction of ocular movements. 4. Compensatory head posture. 5. False protection. Ref : AK Khurana 6thE pg 354